Ketone bodies are synthesized
1. Cytosol
2. ER
3. Miochondria
4. Peroxisomes

Correct answer: 3. Miochondria

Explanation: Ketogenesis Acetoacetate is the primary ketone body while beta-hydroxybutyrate and acetone are secondary ketone bodies. They are synthesized exclusively by the liver mitochondriaRef: DM Vasudevan - Textbook of Biochemistry, 6th edition, page no: 143